At PHC level vaccine storage is by?
1. IRL
2. Walk in cold rooms
3. Cold boxes
4. vaccine carriers

Correct answer: 1. IRL

Explanation: .ice lined refrigerators(ILR)are mkept at the PHC level.the cabinet temperature is maintained at 2 to 8 degree celsius.at the PHC level,ILR s are used to store all UIP vaccines.they are lined with tubes or ice packs filled with water which freezes and keeps the internal temperature at a safe level.

ref:park's textbook of preventive and social medicine,22 nd edition ,pg no 104